Histiocytosis X is seen in except-
1. Hand schuller Christian disease
2. Eosinophilic granuloma
3. Letterer-siwe syndrome
4. Torres syndrome

Correct answer: 4. Torres syndrome